A 2-year-old child, fed on milk diet, presents with persistent diarrhea, acidic stools (pH of stools less than 5.5) on two separate occassions and presence of 1% of reducing substances in the fresh stools. What is the most probable diagnosis:
1. Cystic fibrosis
2. Lactose intolerance
3. Rotavirus induced diarrhoea
4. Intestinal tuberculosis

Correct answer: 2. Lactose intolerance

Explanation: Ans. B i.e. Lactose intolerance